Pulsatile release of GnRH is important for?
1. Gonadotrophin stimulation
2. Ovulation induction
3. GnRH feedback inhibiton
4. Gonadotropin downregulation

Correct answer: 1. Gonadotrophin stimulation

Explanation: Luteinizing hormone-releasing hormone (LH-RH) a decapeptide hormone of the hypothalamus, which stimulates the release of follicle-stimulating hormone and luteinizing hormone from the pituitary gland; it can be used in the differential diagnosis of hypothalamic, pituitary, and gonadal dysfunction. Called also follicle-stimulating hormone-releasing hormone, follicle-stimulating hormone and luteinizing hormone-releasing hormone, and gonadotropin-releasing hormone.Ref: Ganong's review of medical physiology; 24th edition; page no:-314